The following statements are related to clear cell carcinoma of the vagina except:
1. Common to those whose mothers were given diethylstilbestrol during early pregnancy
2. Vaginal adenosis may progress to this conditions
3. The middle one-third is the commonest site
4. May be multicentric and may involve even the cervix as well

Correct answer: 3. The middle one-third is the commonest site